A girl aged 8 years has been admitted for dialysis. She has serum K of 7.5 meq/1, which is the fastest way to reduce the hyperkalemia?
1. Kayexalate enema
2. Infusion of insulin + glucose
3. IV calcium gluconate
4. IV NaHCO3

Correct answer: 2. Infusion of insulin + glucose

Explanation: Answer is B (Infusion of insulin and glucose): 'Intravenous insulin is the fastest way to lower serum potassium levels' Reduce serum levels by shifting Remove excess potassium from the body K+ from extracellular to intracellular fluid